Sirtuin is associated with?
1. Cancer
2. Diabetes
3. Ageing
4. All of the above

Correct answer: 4. All of the above

Explanation: Ans. (d) All of the above(Ref: Robbins 9th/pg 67,68)SirutuinsFamily of NAD-dependent protein deacetylases.Sirtuin-6 Q promotes the expression of genes whose products increase longevity.Since these protiens increase longevity, activate DNA repair enzymes so prevent against cancerSirtuins also increase insulin sensitivity and glucose metabolism, and may be targets for the treatment of diabetes.